Dental cyst
1. Occurs from the reduced enamel epithelium
2. Replaces the tooth to which it it attached
3. Is frequently seen with a missing tooth on the X-ray.
4. Cystic lining of stratified squamous epithelium

Correct answer: 4. Cystic lining of stratified squamous epithelium